Which one of the following is the most sensitive and specific screening test to detect breast cancer-
1. Regular X-ray
2. Self breast examination
3. Mammography
4. Regular biopsy

Correct answer: 3. Mammography

Explanation: Mammography is most sensitive and specific in detecting small tumors that are sometimes missed on palpation.